Zollinger Ellison syndrome true about A/E:
1. Surgery is to be done
2. Exocrine tumor
3. Endocrine disorder
4. Secretory diarrhea seen

Correct answer: 2. Exocrine tumor

Explanation: Ans. is 'b' i.e. Exocrine tumor